Blood supply of ventral 2/3rd of interventricular septum of heart is
1. Right coronary artery
2. Left coronary artery
3. Posterior interventricular artery
4. Marginal artery

Correct answer: 2. Left coronary artery

Explanation: The posterior interventricular artery, a branch of right coronary artery, supplies the posterior 1/3 of the interventricular septum. The remaining anterior 2/3 is supplied by the anterior interventricular artery which is a septal branch of the left anterior descending artery, which is a branch of left coronary artery . B D CHAURASIA'S HUMAN ANATOMY UPPER LIMB THORAX-VOLUME-1 SIXTH EDITION Page-265